‘Lead time’ refers to the time between
1. Disease onset and first critical diagnosis
2. First possible point of detection and usual time of diagnosis
3. Disease onset and first possible point of detection
4. First possible point of detection and final critical point

Correct answer: 2. First possible point of detection and usual time of diagnosis